An example of a two way discussion
1. Symposium
2. Television
3. Radio
4. News paper

Correct answer: 1. Symposium

Explanation: One way communication
Two way communication



DIDACTIC METHOD
Examples :

Lecture method
Radio
TV
News paper



SOCRATIC METHOD
Examples :

Symphosium
Panel discussion
Four group discussion